Wood's Lamp is used in
1. Tinea pedis
2. Pityriasis versicolor
3. Sporotrichosis
4. None of above

Correct answer: 2. Pityriasis versicolor

Explanation: Wood's lamp is used for identification of Microsporum species and Malassezia furfur. pityriasis versicular caused by Malassezia furfur. Sporothrix schenckii causes sporotrichosis. Tinea pedis caused by epidermophyton and Trichophyton. Reference: Textbook of Microbiology; Baveja; 4th edition